Postganglionic fibers are example of:
1. Type C fibers
2. Type A
3. Type B
4. All

Correct answer: 1. Type C fibers

Explanation: Postganglionic fibers are example of type C fibers They are non myelinated and have slow conduction velocity They have minimal diameter Ref:Guyton and Hall textbook of medical physiology 12th edition,page number:73